Which one of the following is not a transport or binding protein?
1. Erythropoietin
2. Ceruloplasmin
3. Lactoferrin
4. Transferrin

Correct answer: 1. Erythropoietin

Explanation: Erythropoietin increases the number of erythropoietin sensitive committed stem cells in the bone marrow that are converted to red blood cell precursors and subsequently to mature erythrocytes When an individual bleeds or becomes hypoxic, hemoglobin synthesis is enhanced, and production and release of red blood cells from the bone marrow (erythropoiesis) are increased Ceruloplasmin- Transport of copper Transferrin -Transport of iron Lactoferrin is of Transferrin family and seen in milk Ref: Ganong's Review of Medical Physiology Twenty-Third Edition Page No: 677